All of the following statements are true regarding principles of development except?
1. Development is a continuous process
2. Specific responses replace mass activity as the child matures
3. It progresses in cephalocaudal direction
4. In the extremities, development occurs in distal to proximal

Correct answer: 4. In the extremities, development occurs in distal to proximal

Explanation: In the extremities, development occurs proximal to distal. Growth Development Denotes a net increase in size/mass of tissues Denotes maturation of functions Cephalocaudal Head = Neck = Trunk and upper limbs = Lower limbs Cephalocaudal Head = Neck = trunk and upper limbs = Lower limbs Distal = Proximal Hands increase in size before upper arms Proximal = Distal Hand use is learnt before the use of fingers Rules of Development: It is a continuous process It depends on the functional maturation of the nervous system The sequence of attainment of milestones is the same in all children It progresses in cephalocaudal direction and proximal to distal Certain primitive reflexes have to be lost before relevant milestones are attained The initial disorganised mass activity is gradually replaced by specific actions Ref: Ghai Essential pediatrics 9th edition Pgno: 38